Milky white watery discharge with fishy odour from vagina along with minimal itching is due to:
1. Bacterial vaginosis
2. Gonorrhea
3. Trichomonas
4. Candida

Correct answer: 1. Bacterial vaginosis

Explanation: Bacterial vaginosis cause alteration of normal vaginal flora rather than due to any specific infection. There is considerable decrease in lactobacilli in vaginal discharge with 100 fold increase in growth of other anerobic bacteria. The characteristics of vaginal discharge according to amsel criteria is-* White ,milky, no viscous discharge adherent to the vaginal wall.* pH of the discharge is more than 4.5(5-7)* fishy odour when mixed with 10% KOH is due to amino-metabolites from various organism.* Presence of clue cells- the epithelial cells have a fuzzy border due to adherence of bacteria.